Commonest site of lytic lesion in multiple myeloma is
1. Vertebral column
2. Femur
3. Clavicle
4. Pelvis

Correct answer: 1. Vertebral column

Explanation: The bones most commonly affected in multiple myeloma in descending order of frequency are vertebral coloumn,ribs, skull, pelvis, femur, clavicle and scapula Ref:Robbins and Cotran Pathologic basis of disease.South Asia Edition volume 1.Page no.599